Bilateral inter nuclear ophthalmoplegia is pathognomonic of
1. Multiple sclerosis
2. Pontine glioma
3. Lateral medullary syndrome
4. Pontine haemorrhage

Correct answer: 1. Multiple sclerosis

Explanation: *Patient with bilateral injury to medial longitudinal fasciculus will have bilateral internuclear ophthalmoplegia . *Multiple sclerosis is the most common cause . Reference Harrison20th edition pg 2456